A 40-year-old man presented with painless hematuria. Bimanual examination revealed a ballotable mass over the right flank. Subsequently right nephrectomy was done and mass was seen to be composed of cells with clear cytoplasm. Areas of hemorrhage and necrosis were frequent. Cytogenic analysis of this mass is likely to reveal an abnormality of:
1. Chromosome 1
2. Chromosome 3
3. Chromosome 11
4. Chromosome 4

Correct answer: 2. Chromosome 3

Explanation: Ans. (b) Chromosome 3* Clear cytoplasm is seen in RCC Clear cell carcinomaTypesGenetic defectsClear cell RCCLoss of sequence in Ch.3 (VHL gene)Papillary RCCTrisomies 1, 16 and 17 and loss of Y is male patients for Sporadic form Trisomy 7 in the familial form Due to mutated MET gene in Ch.7Chromophobe RCCMultiple chromosome loss HypoploidyCh 1,2,6,10,13,17,21 and Y lossesMedullary RCCSickle cell trait